Which of the following infection is transmitted through rat urine?
1. Listeria
2. Legionella
3. Mycoplasma
4. Leptospira

Correct answer: 4. Leptospira

Explanation: Humans are infected when the leptospires in water contaminated by the urine of carrier animals (rats, dogs, cattle, and pigs), enters the body through cuts or abrasions on the skin / through intact mucosa of mouth, nose or conjunctiva. The incubation period is 2-20 days. Ref: Current Medical Diagnosis and Treatment 2012, Chapter 34 ; Textbook of Microbiology By Ananthanarayan and Panicker, 8th Edition, Pages 381-383